Biological marker for antisocial behavior in boys:-
1. Low serum testosterone
2. Low resting pulse rate
3. Increased urinary dopamine levels
4. Shortened REM latency

Correct answer: 2. Low resting pulse rate

Explanation: Low heart rate have association with antisocial behavior